Gingival enlargement in pregnancy is termed:
1. Periodontal abscess
2. Angio granuloma
3. Gingival abscess
4. Wegenere's granulomatosis

Correct answer: 2. Angio granuloma